Blackening of eye after forehead injury is due to :
1. Friction abrasion
2. Patterned abrasion
3. Penny bruise
4. Ectopic bruise

Correct answer: 4. Ectopic bruise

Explanation: Ectopic bruise/ Migratory bruise: Appearance of Bruise at a site other than the site of impact. Blood tracks along fascial planes or between muscle layers along the path of least resistance and then may appear where the tissue layers become superficial. Site of bruise does not always indicate the site of injury Site of Impact Bruising site Forehead Periorbital (Black eye/ spectacle hematoma/ Racoon eye) Iliac crest Lateral aspect of thigh Calf muscle Behind tendo-calcaneum